Which part of the heart is infarcted in case of occlusion of the anterior descending branch of Left Anterior Descending artery?
1. Anterior wall of the left ventricle
2. Lateral part of the left ventricle
3. Inferior surface of right ventricle
4. Posterior part of the interventricular septum

Correct answer: 1. Anterior wall of the left ventricle

Explanation: Occlusion of left anterior descending artery results in infarction of anteroapical region of left ventricle. It runs downward in the anterior interventricular groove to the apex of the heart. The anterior interventricular branch supplies the right and left ventricles with numerous branches that also supply the anterior part of the ventricular septum. Ref: Clinical Anatomy for Medical Students By Richard S Snell, 6th Edition, Pages 103-4